Orphan annie eye nuclei appearance is characteristic of -
1. Papillary carcinoma thyroid
2. Carcinoma pituitary'
3. Paraganglioma
4. Meningioma

Correct answer: 1. Papillary carcinoma thyroid

Explanation: Ans. is 'a' i.e., Papillary carcinoma thyroid o Orphan Annie nuclei can be seen usually with the heterochromatin pushed to the edge and central areas of the nuclei optically clear These nuclei have marginated chromatin and optically clear centres.The typical description of nuclei in papillary cell carcinoma are quite a match for the empty eyes of popular comic character called Orphan Annie.Annei was character in comic strip where no one had iris or pupils and so the cells looks like her eyes.The epithelium may betray its malignant nature by a nuclear patter, the nuclei have sharply etched membranes and instead of hyperchromatism the centre of the nucleus is relatively empty like Orphan Annei.Nuclear features of papillary carcinoma of thyroido Large nuclei loval or molded.o Irregular membranes.o Nuclear clearing with powdery chromatin.Nuclear grooves with one or more marginally placed micronucleoli.Nuclear crowding or overlapping.